Thanatology is the science which deals with -
1. Death inits aspects
2. Identification of the living
3. Solving paternity of the child
4. Detection of life

Correct answer: 1. Death inits aspects

Explanation: Thanatology or deathlore is the scientific study of death and the losses brought about as a result. It investigates the mechanisms and forensic aspects of death, such as bodily changes that accompany death and the post-mortem period, as well as wider psychological and social aspects related to death. Ref : Internet